5 yr/M presented with fever for 10 days, for which child was given some medication. He has developed anorexia & vomiting for last 3 days, altered sensorium for 1 day. The child also had 2 episodes of seizures 1 day before presentation. O/e the child was hemodynamically stable, had no pallor or icterus, no meningeal signs. Liver was palpable-2cm below right costal margin, blood glucose 40 mg%, Hb 11 g/dl, TLC 8300, Platelet count 2.8 lac/mm3, PT was 58/12 sec. What is the diagnostic possibility?
1. Tyrosinemia
2. Reye syndrome
3. Alagille syndrome
4. Acute Viral Hepatitis

Correct answer: 2. Reye syndrome

Explanation: Given scenario suggests diagnosis of: Reye syndrome Alagille Syndrome- Triangular faces, conjugated jaundice Tyrosinemia- hepatorenal involvement, peripheral neuropathy